Gonococcus resistant structure is
1. Urethra
2. Testis
3. Fallopian Tube
4. Ampulla of cervix

Correct answer: 2. Testis

Explanation: B i.e. Testis